Percentile divides the data into how many equal parts-
1. Two
2. Four
3. Fifty
4. Hundred

Correct answer: 4. Hundred

Explanation: Ans. is 'd' i.e., Hundred Division of distributions* Distributions can be divided into multiple equal parts by various measures of location. For example a Quartile divides the distribution into four equal parts (25% each).* So, in Quartile the number of intercepts required are three : Q1 (first/lowest quartile), Q2 (second quartile) and Q3 (third/highest quartile).* Similarly tertile divides the distribution into three equal parts (33.33% each) by two intercepts. Divides distribution intoNo. of interceptsTertile3 equal parts2Quartile4 equal parts3Pentile (Quintile)5 equal parts4Hextile6 equal parts5Heptile7 equal parts6Octile8 equal parts7Decile10 equal parts9Centile (Percentile)100 equal parts99Percentile (centile)* Centiles are values in a series of observations arranged in an ascending order of magnitude "which divides a distribution into 100 equal parts". So, number of interception required are 99, i.e., there are a total of 99 percentiles. Median is 50th centile. n percentile implies that (n - 1)% of values are below it and (100 - n)% of values are above it e.g. 40th percentile means 39% (n - 1 = 40 - 1) values are below it and 60% (100 - n) values are above it.